Sweating is not seen in:
1. Heat stroke
2. Heat cramps
3. Heat fatigue
4. Heat syncope

Correct answer: 1. Heat stroke

Explanation: ANSWER: (A) Heat strokeREF: Parikh 6th edition page 3.81"Heat stroke is due to impairment in body's heat regulatory mechanism caused by failure of cutaneous circulation and sweating following prolonged exposures to hot humid conditions"